In clinical aniridia all of the following are true except:
1. Iris is completely absent
2. Usually familial condition
3. May be associated with congenital glaucoma
4. Ciliary processes may be visible

Correct answer: 1. Iris is completely absent

Explanation: Ans. Iris is completely absent